Female newborn presents with vaginal bleeding, 4 days after birth, what is to be done?
1. Wait and watch
2. Clotting Factor deficiency to be ruled out
3. Bleeding time to be done
4. Blood transfusion

Correct answer: 1. Wait and watch

Explanation: ANSWER: (A) Wait and watchREF: Shaw 13th ed p. 48Repeat from December 2009"Vaginal bleed may be noticed in neonates in first week, it is due to withdrawal of maternal estrogen circulating in the newborn circulation. No treatment is needed except for reassurance""The vaginal bleeding in a neonate is physiological due to presence of maternal hormones and hence it subsides after sometime"